Which of the following is the predominant collagen type in bone?
1. Type l
2. Type ll
3. Type lll
4. Type IV

Correct answer: 1. Type l

Explanation: Type I collagen is the predominant collagen in bone. Type II collagen is found in cartilage. Type III collagen is found in skin, blood vessels, uterus, and fetal tissue. Type IV collagen is found in the basement membrane. Ref: Osteoporosis edited by Robert Marcu, Page 194.